Most cardiostable among the following is
1. Thiopentone sodium
2. Ketamine
3. Propofol
4. Etomidate

Correct answer: 4. Etomidate

Explanation: Thiopentone, propofol, ketamine cardio unstable Etomidate cardio stable Etomidate is the most cardiac stable intravenous agent due to its lack of effect on the sympathetic nervous system and on the function of the baroreceptor. The myocardial oxygen supply-to-demand ratio is well maintained. Hence, etomidate is the intravenous agent of choice in patients with coronary artery disease, cardiomyopathy and cerebral vascular disease.